If the grading of diabetes is classified as mild, moderate and severe the scale of measurement used is:
1. Interval
2. Nominal
3. Ordinal
4. Ratio

Correct answer: 3. Ordinal

Explanation: Ordinal